Which one of the following microorganisms uses antigenic variation as a major means of evading host defences -
1. Streptococcus pneumoniae
2. Borrelia recurrentis
3. Mycobacterium tuberculosis
4. Listeria monocytogenes

Correct answer: 2. Borrelia recurrentis